In case of female commonest hernia is ?
1. Direct inguinal hernia
2. Indirect inguinal hernia
3. Femoral Hernia
4. Incisional hernia

Correct answer: 2. Indirect inguinal hernia

Explanation: Ans is 'b' ie Indirect Inguinal hernia